Carcinoma tongue most frequently develops from -
1. Tip
2. Lateral border
3. Dorsal portion
4. All portions equally

Correct answer: 2. Lateral border

Explanation: Common sites for oral cancer

Tongue carcinoma → Lateral border
Lip carcinoma → Vermilion of lower lip
Cheek carcinoma → Angle of mouth